Which of the following statement regarding Antrochoanal polyp is false?
1. It often bleeds to touch
2. Treatment is avulsion
3. Arise from maxillary antrum
4. It is commonly found in children

Correct answer: 1. It often bleeds to touch

Explanation: Antrochoanal polyp is a benign polypoidal lesion arising from the maxillary antrum. It is just an oedematous mucosa and does not bleed to touch. It is commonly found in children and young adults. FESS is the treatment of choice.